Hunner's ulcer is seen in:
1. Ureter
2. Bladder
3. Urethra
4. Kidney

Correct answer: 2. Bladder

Explanation: Ans: b (Bladder) Ref: Bailey & Love, 24th ed, p. 1357HUNNER'S ULCER (Interstitial cystitis)* Confined to women* 40's age.* Chronic pancystitis with marked infiltration with lymphocytes and macraphages.* Asa result of pancystitis, fibrosis of the vesicular musculature results leading to contracture of the bladder and areas of avascular atrophy of the epithelium. Ulceration of the mucosa occurs in the fundus of the bladder.INVESTIGATION - Cystoscopy.TREATMENTAppearance of the bladder in interstitial cystitis is similar to CA insitu and may be misdiagnosed. It is important to check urine cytology and biopsy of the bladder. Hydrostatic dialation under anaesthesia may give some relief. Light diathermy fixlgration may help